A3-week old child presented to the pediatrician with meningitis. A presumptive diagnosis of late onset of a perinatal infection was made. The CSF culture was positive for gram positive bacilli. Which of the following characteristic of this bacteria would be helpful in differentiating it from other bacteria agents -
1. Ability to grow on blood agar
2. Ability to produce catalase
3. Fermentative attack on sugars
4. Motility at 25°C

Correct answer: 4. Motility at 25°C